How may many ossification centres are there for the hyoid bone?
1. 5
2. 4
3. 6
4. 3

Correct answer: 3. 6

Explanation: Ans. C 6Ref: Internet Source* Hyoid bone has a body, two greater and two lesser cornua or horns.* The hyoid bone develops from 2nd & 3rd pharyngeal arches, the lesser cornu from 2nd the greater cornu from 3rd and body from fused ventral, ends of both.* Ossification proceeds from 6 centers i.e. a pair for body and one for each conu. Ossification begins in the greater cornu towards the end of intrauterine life, in body shortly after birth and in lesser cornu around puberty.